Which of the following is not a feature of Heat stress
1. Hyperpyrexia
2. Syncope
3. Cramps
4. Numbness

Correct answer: 4. Numbness

Explanation: Effect of Heat stress Heat stroke: Body temperature >110degF, Delirium, Convulsions, Absence of sweating Heat hyperpyrexia Heat exhaustion Heat cramps Heat syncope Ref : Park 25th edition Pgno : 784